Trucking of vessels is seen in which of the following disorders
1. Central retinal artery occlusion
2. Central retinal vein occlusion
3. Hypertensive retinopathy
4. Sickle cell retinopathy

Correct answer: 1. Central retinal artery occlusion

Explanation: Ans. (a) Central retinal artery occlusionRef: Kanski 7/e, p. 562Narrowing of arteries and veins with sludging of and segmentation of blood column - Cattle trucking/ Boxcarring.